Essential amino acids are A/E -
1. Leucine
2. Proline
3. Lysine
4. Methionine

Correct answer: 2. Proline

Explanation: - essential aminoacid are the one that cannot be synthesised in the body corresponding to the needs. Thus need to be supplied through diet. - they are leucine, isoleucine, lysine, methionine, phenylalanine, threonine, valine, tryptophan and histidine. Reference : Park's textbook of preventive and social medicine, 23rd edition, pg no:609